Largest trematode infecting man is:
1. F. hepatica
2. F. buski
3. E. granulosus
4. Clonorchosis sinensis

Correct answer: 2. F. buski

Explanation: Ans. B i.e. F. buski Fasciolopsis buski It is commonly called the giant intestinal fluke, because it is an exceptionally large parasitic fluke, and the largest known to parasitise humans. Its size is variable and a mature specimen might be as little as 2 cm long, but the body may grow to a length of 7.5 cm and a width of 2.5 cm. It is a common parasite of humans and pigs and is most prevalent in Southern and Southeaster n Asia. It is a member of the family Fasciolidae in the order Echinostomida. The Echinostomida are members of the class Trematoda, the flukes. The fluke differs from most species that parasitise large mammals, in that they inhabit the gut rather than the liver as Fasciola species do. Fasciolopsis buski generally occupies the upper region of the small intestine, but in heavy infestations can also be found in the stomach and lower regions of the intestine. Fasciolopsis buski is the cause of the pathological condition fasciolopsiasis.